In Caldwell-Luc operation the nasoantral window is made through:
1. Superior meatus
2. Inferior meatus
3. Middle meatus
4. None of the above

Correct answer: 2. Inferior meatus

Explanation: Ans. B Inferior meatus Ref. Dhingra 5th/ed p 418, Caldwell-Luc Operation It was earlier done in case of chronic maxillary sinusitis with an aim to remove "irreversibly" damaged mucosa of maxillary sinus and to facilitate gravitational drainage and aeration an infra meatal antrostomy. It was predominantly being used for persistent chronic rhinosinusitis when medication, lavage and inferiormeatal antrostomy has failed. But it is now not being used - as it is not the normal ciliated respiratory epithelium which replaces the nasal mucosa but fibrous tissue, hich can obliterate the cavity and lead to cyst formation Contraindications - It should not be done in children as it can damage the secondary dentition. Surgery Done through Caldwell-Luc operation Antral puncture Dacryocystorhinostomy Inferior meatus Inferior meatus Middle meatus